The renal threshold for glucose is:
1. 180 mg / dl
2. 100 mg /dl
3. 120 mg / dl
4. 80 mg / dl

Correct answer: 1. 180 mg / dl